In all the regions of tooth enamel formation proceeds:
1. Pulp to DEJ.
2. DEJ to Pulp.
3. DEJ to surface.
4. Surface to DEJ.

Correct answer: 3. DEJ to surface.